Which of the following germ cell tumor is malignant?
1. Leydig cell tumor
2. Mature teratoma
3. Seminoma
4. Dermoid cyst

Correct answer: 3. Seminoma

Explanation: Ans. is 'c' i.e., Seminoma Germ cell tumorsa)Malignant - Germinoma (seminoma, dysgerminoma), embryonal carcinoma, endodermal sinus tumor (yolk sac tumor), choriocarcinoma, immature teratoma.b)Benign - Mature teratoma, dermoid cyst.o Leydig cell tumor is not a germ cell tumor.